. Gall stones -
1. Are about twice as common in men as in women
2. There is an increased incidence of stones in diabetics
3. About 80-90% of gall stones are radio-opaque
4. Are usually more than 50 mm in diameter

Correct answer: 2. There is an increased incidence of stones in diabetics